In malaria control, insecticide used for insectiside treated bed nets (ITBN)-
1. Deltamethrin
2. Malathion
3. Lindone
4. Fenitrothion

Correct answer: 1. Deltamethrin

Explanation: Ans. is 'a' i.e., Deltamethrin Insecticide Treated Bed Nets (ITBN) Programme (esp. deltamethrin) has resulted in significant decline in malaria incidence and API Average decline in anopheline mosquito density - 68% Average decline in cuicine mosquito density - 50% Chemicals used in ITBN Programme : Synthetic pyretheroids Deltamethrin : 2.5% in dosage of 25 mg/m2 Cyfluthrin: 5% in dosage of 50 mg/m2 Other insecticides used : Permethrin, Lambdacyhalothrin, Etofenprox, Cypermethrin Effectiveness of pyrethroids: For 6-12 months (Retreatment every 6 months) Long-lasting insecticidal mosquito nets (LLINs) : Also use pyrethroid insecticides, and a chemical binder that allows the nets to be washed > 20 times, allowing use for > 3 years.